All are organophosphorus poison, except –
1. Abate
2. Dibenanone
3. Propoxur
4. Malathione

Correct answer: 3. Propoxur